What is draughtsman elbow?
1. Lateral epicondylitis
2. Medial epicondylitis
3. Olecrenon bursitis
4. Medial epicondyle avulsion fracture

Correct answer: 3. Olecrenon bursitis

Explanation: DRAUGHTSMAN ELBOW is also known as MINER'S ELBOW,STUDENT'S ELBOW or OLECRENAON BURSITIS. This is a chronic inflammation of the olecrenon bursa,probably as a result of repititive minor injuries.Students tend to keep their elbow rubbed against the desk and this constant friction may lead to the development of olecrenon bursitis.Culture and aspiration of the bursa fluid is a must to rule out infection. ref : maheswari 9th ed